Which of the following is regarded as outward expression of gene?
1. Phenotype
2. Proteomics
3. Genotype
4. Anticipation

Correct answer: 1. Phenotype

Explanation: Ref: Robbins 8th ed. P 136-137PhenotypePhysical appearance ascribed to a particular genetic make-upProteomicsMeasurement of all proteins expressed in a cell or tissueGenotypeGenetic composition describing number of chromosomesAnticipationIncrease in severity of disease with successive generations